All are true associations of ulcerative colitis except ?
1. Eythema nodosum
2. Circinate balanitis
3. Sclerosing cholangitis
4. Aphthous stomatitis

Correct answer: 2. Circinate balanitis

Explanation: Answer is 'b' i.e. Circinate balanitis Cricinate balanitis is characterised by - serpiginous, annular lesions with slightly raised borders on the glans penis of an uncircumcised man. - in circumcised men papulosquamous plaques and papules occur on the penis. Extraintestinal manifestation of IBD A) Dermatologic - explained in previous question B) Rheumatologic i) Peripheral arthritis - more common in CD ii) Ankylosing spondylitis - more common in CD iii) Sacroilitis - symmetrical iv) Hypertrophic osteoarthropathy v) Pelvic/femoral osteomyelitis vi) Relapsing polychondritis C) Ocular i) Conjunctivitis ii) Anterior uveitis/iritis iii) Episcleritis D) Hepatobiliary i) Hepatic steatosis (fatty liver) ii) Cholelithiasis - more common in CD than UC and occurs in 10 to 35% of patients with ileitis or ileal resection. - Gall stone formation occurs because of malabsorption of bile acids. - ill Primary sclerosing cholangitis - 1 to 5% of patients with IBD have PSC, but 50 to 75% of patients with PSC have IBD. E) Urologic i) Calculi - more common in Crohn's disease. Calcium oxalate stones are seen due to hyperoxaluria which occurs because of increased absorption of dietary oxalates in colon. In patients with ileal dysfunction, fatty acids are unabsorbed and they chelate calcium leaving oxalate unbound. ii) Ureteral obstruction iii) Fistulas F) Others i) Thromboembolic disease ii) A spectrum of vasculitidies iii) Osteoporosis & osteomalacia iv)- Cardiopulmonary manifestation - endocarditis, myocarditis, pleuropericarditis, ILD v) Amyloidosis